Paralysis of 3rd, 4th, 6th nerves with involvement of ophthalmic division of 5th nerve, localizes the lesion to -
1. Cavernous sinus
2. Apex of orbit
3. Brainstem
4. Base of skull

Correct answer: 1. Cavernous sinus

Explanation: Paralysis of 3rd, 4th, 6th nerve and involvement of ophthalmic division of 5th nerve → cavernous sinus thrombosis.
Paralysis of 3rd, 4'h, 6th nerve, ophthalmic division of 5th nerve plus optic nerve signs→ orbital apex syndrome.